Which polyp has maximum malignant potential -
1. Sessile
2. Pedunculated
3. Superficial spreading
4. Any of the above

Correct answer: 1. Sessile